Which of the following can be an approach in diagnosing polycythemia vera?
1. Measure red cell mass
2. Measure serum EPO levels
3. Measure arterial oxygen saturation
4. All of the above

Correct answer: 4. All of the above